Which of the following antihypertensive drug is avoided in patients with high serum uric acid levels?
1. Hydrochlorothiazide
2. Enalapril
3. Prazosin
4. Atenolol

Correct answer: 1. Hydrochlorothiazide

Explanation: Adverse effect ofHydrochlohiazideis hyperuricemia therefore contraindicated in gout. Enalapril, Prazosin and Atenolol has no affect on uric acid level.